A 27-year-old woman with a goiter comes to the hospital for surgical treatment. The surgeon must ligate the superior laryngeal artery before surgically resecting the goiter, so care must be taken to avoid injury to which of the following nerves?
1. External laryngeal nerve
2. Internal laryngeal nerve
3. Superior laryngeal nerve
4. Hypoglossal nerve

Correct answer: 2. Internal laryngeal nerve

Explanation: The Internal laryngeal nerve accompanies the Superior laryngeal artery, External laryngeal nerve accompanies the superior thyroid artery The superior laryngeal, hypoglossal, and vagus nerves are NOT closely associated with the superior laryngeal artery.